All are true about bupivacaine Except
1. Less cardiotoxic than lignocaine
2. Dose increases with adrenaline
3. Long acting
4. Cannot given m vein

Correct answer: 1. Less cardiotoxic than lignocaine

Explanation: Bupivacaine is more prone to prolong QTc interval and induce ventricular tachycardia or cardiac depression - should not be used for IV regional anesthesia. Whereas Lignocaine cause arrhythmia in overdosage only. All other statements are true. From Tripati 7th edition Page no 366, 367